A pregnant female is taking carbimazole. Which of the following is not seen in the neonate ?
1. Choanal atresia
2. Scalp defects
3. Cleft lip/palate
4. Fetal goiter

Correct answer: 3. Cleft lip/palate

Explanation: Carbimazole can cross through placenta to foetus in larger amount. Foetal hypothyroidism and goiter is seen with antithyroid drugs. figure shows scalp defect aplasia cutis due to carbimazole (REF.Essential of medical pharmacology K D TRIPATHI 6 Edition, Page No - 251)